Vigabatrine is drug of choice for
1. Febrile seizures
2. Myoclonic epilepsy
3. Infantile spasm
4. Partial seizures

Correct answer: 3. Infantile spasm

Explanation: Ans. is'c'i.e., Infantile spasmRef: Harrison 18n/e p. 3262, 3266Vigabatrin is DOC for infantile spasm.